You being a night duty doctor posted in surgical ward,senoir resident tells you to keep 40yr old man posted for elective cholecystectomy to be nil/oral, how many hours prior to surgery will you advised to patient to have light food ...?
1. 4 hours
2. 6 hours
3. 8 hours
4. 12 hours

Correct answer: 2. 6 hours

Explanation: for adults 2 hours clear fluids ( defined as those fluids through which words can be read e.g water, apple juice 6 hours for solids Recommended Preoperative Fasting period for neonates and infants are 6 hours for solids/formula feeds/cow's milk 4 hours for breast milk 2 hours for clear fluids Recommended Preoperative Fasting periods for all above 1 year of age are 2 hours for clear fluids 4 hours for breast milk 6 hours for light meal 8 hours for fried, fatty food